Which poisoning causes post mortem luminescence?
1. Dhatura
2. Mercury
3. Armiliaria
4. Oleander

Correct answer: 3. Armiliaria

Explanation: ANSWER: (C) ArmillariaREF: Smart Study Series Forensic Medicine & Toxicology by Gaurav aggarwal Page 125"Postmortem luminescence is due to Photobacterium fischeri bacteria and Armillaria mellea fungi"